Which of the following coagulation factors causes cross-linking and stabilization of clot?
1. Factor XIII
2. Thrombin
3. Factor VIII
4. Factor IX

Correct answer: 1. Factor XIII

Explanation: The loose aggregation of platelets in the temporary plug is bound together and converted into definitive clot bg fibrin. Fibrin is initially a loose mesh of interlacing strands. It is converted by the formation of covalent cross-linkages to a dense tight aggregate. The latter reaction is catalyzed by activated factor 13 and requires calcium. Ref: Ganong's Review of medical physiology, 24th edition.Pg no. 566